Toad skin is seen in deficiency of vitamin ?
1. A
2. B2
3. D
4. Biotin

Correct answer: 1. A

Explanation: Ans. is 'a' i.e., A o Here, essential fatty acid has not been provided as an option. So, amongst the given options vitamin 'A' is the best answer.